Gigantism is due to:
1. Increased secretion of cortisol
2. Decreased secretion of cortisol
3. Increased secretion of growth hormone
4. Decreased secretion of growth hormone

Correct answer: 3. Increased secretion of growth hormone

Explanation: - Excess GH results in: overgrowth / gigantism during childhood with open epiphysis * After fusion of epiphysis - ACROMEGALY - Features of Acromegaly: Coarse facies large tongue Prognathism(protruded lower jaw) thick skin broad nose headache & visual field defects - Best screening test - IGF 1 levels - TREATMENT: Somatostatin analogues (Octreotide) GH Receptor antagonist (Pegvisomant)